Lower segment caesarean section can be carried out under all of the following techniques of anaesthesia except
1. General anaesthesia
2. Spinal anaesthesia
3. Caudal anaesthesia
4. Combined spinal epidural anaesthesia.

Correct answer: 3. Caudal anaesthesia

Explanation: Caudal anaesthesia is used only for perineal surgeries.